Radiographically a ragged or poorly defined margin is seen in
1. squamous cell carcinoma
2. osteomyelitis
3. secondarily infected cyst
4. all of the above

Correct answer: 4. all of the above